The best way to treat decubitus ulcer in a case of genital prolapse is by :
1. Bed rest
2. Antibiotics
3. Antiseptic dressing
4. Reduction with tampoon

Correct answer: 4. Reduction with tampoon

Explanation: Reduction with tampoon